The genetic defect in Dubin-Johnson syndrome is -
1. Mutation in gene for multiple drug resistance protein 2
2. Mutation in UDP-glucuronyl transferase
3. Mutation of chromosome 23
4. Flash mutations

Correct answer: 1. Mutation in gene for multiple drug resistance protein 2